TRUE about volume receptors is all except:
1. They are all low pressure receptors
2. They provide afferent for thirst control
3. They are located in carotid sinus
4. They mediate vasopressin release

Correct answer: 3. They are located in carotid sinus

Explanation: Carotid sinus receptors are pressure receptors; they respond to stretch stimulus. Volume receptors are present in the right atrium, right ventricle, and pulmonary artery.